Which of the following flipped pattern of LDH is seen in myocardial infarction:
1. LDH 1>2
2. LDH 2> 1
3. LDH 3>4
4. LDH 5> 4

Correct answer: 1. LDH 1>2

Explanation: In normal person, LDH-2 is more than LDH-1 in serum. BUT in myocardial infarction, LDH-1>>LDH-2. This is known as Flipped ratio of LDH in Myocardial Infarction. ADDITIONAL EDGE ON ISOENZYMES OF LDH: LDH-2 is raised in haemolytic anemia. (LDH-2 is mainly found in blood (Both WBC and RBC; WBC conc. > RBC conc.)